Soap bubble appearance is seen in
1. Giant cell tumour
2. Osteogenic sarcoma
3. Ewing's sarcoma
4. Osteoid osteoma

Correct answer: 1. Giant cell tumour

Explanation: (Giant cell tumour) (181 -Apley's 8th)* Soap-bubble appearance due to ridging of the surrounding bone in Giant cell tumourX-Ray Appearance* Osteosarcoma - Sunray appearance**, Codman's triangle tumour new bone* Ewing's tumour - Onion - peel appearance*** Chondrosarcoma - Mottled calcification within the tumour* Simple Bone cyst - Well defined lobulated, radio lucent zone in the metaphysis or diaphysis of bone* Osteo chondroma - Large lesion shows "Cauliflower " appearance and degeneration and calcification in the centre of the cartilage cap